Maximum recommended number of students in a school class room
1. 30
2. 35
3. 40
4. 50

Correct answer: 3. 40